Which one of the following is not characteristic of precipitate labour?
1. Small baby
2. Lack of caput
3. Primiparity
4. Accidental death

Correct answer: 3. Primiparity

Explanation: It is common in multipara